Spermicidal agent among the following is :
1. Nonoxynol
2. Menfegol
3. Octoxynol
4. All of the above

Correct answer: 4. All of the above

Explanation: Spermicidal Agents: The spermicidal agents kill the sperms before the latter gain access to the cervical canal. These chemical contraceptive agents contain surfactants, such as nonoxynol-9, octoxynol and menfegol and enzyme-inhibiting agents, and are available as foam tablets, soluble pessaries,creams, jellies, or as films along with other contraceptives such as the diaphragm, occlusive cervical cap and condom. Used alone, failure rate is high, approximately 30 per 100 woman years. When used in conjunction with a mechanical barrier, they give a reliable contraceptive effect. The spermicidal agent remains effective for 1-2 h after the application. By causing irritation and abrasions in chronic use, they can cause vaginal ulceration and perhaps increase the risk of HIV spread rather than prevent it. Therefore, the spermicidal agents should not be recommended to HIV couples. A new spermicidal cream, Tenofovir, prevents viral attachment to the vaginal mucosa and is nonirritant and is under development. The use of condoms with spermicidal agents and postcoital agents as back-up technique is effective in avoiding pregnancy. Praneem from neem is spermicidal and prevents transmission of sexually transmitted infections. This is under trial. Reference: Shaw's Textbook of Gynaecology 16th edition page no 266